Treatment of choice in nasopharyngeal carcinoma:
1. Radiotherapy
2. Chemotherapy
3. Surgery
4. Surgery and radiotherapy

Correct answer: 1. Radiotherapy

Explanation: TOC for persistent nasopharyngeal fibroma - Radiation + Surgery TOC for advanced carcinoma - Chemotherapy + Radiation